Somatic symptoms of Depression include all except
1. Feelings of guilt
2. Reduced libido
3. Insomnia
4. Weight change

Correct answer: 1. Feelings of guilt

Explanation: (A) Feelings of guilt> Somatic symptoms of Depression include the following conditions such as the: Reduced libido; Insomnia; Weight change.